Ponds fracture is most common in
1. Children
2. Adult
3. Old age
4. No relation with age

Correct answer: 1. Children

Explanation: .The Ping-Pong skull fracture or a pond skullfracture refers to a depressed skull fracture of the infant skull caused by inner buckling of the calvarium.